Monoclonal antibody used in cancer is
1. Rituximab
2. Cisplatin
3. 5-fluorouracil
4. Methotrexate.

Correct answer: 1. Rituximab

Explanation: Rituximab is a monoclonal antibody against CD20. It is used for treatment of: - Non-Hodgkin lymphoma Chronic lymphoid leukemia Rheumatoid arthritis SLE Auto-immune hemolytic anemia Idiopathic thrombocytopenic purpura OTHER OPTION: Cisplatin is most emetogenic anticancer drug - DOC- esophageal or gastric cancer 5-fluorouracil is a pyrimidine analog and inhibit DNA synthesis by competing with DNA polymerase. Methotrexate is a dihydro folic acid reductase inhibitor. It decreases the formation of DNA.